Daclizumab acts through ?
1. cGMP activation
2. Adenylcyclase inhibition
3. IL 2 receptor blocker
4. IL10 receptor blocker

Correct answer: 3. IL 2 receptor blocker

Explanation: Ans. is 'c' i.e., IL 2 receptor blocker Monoclonal antibodies (daclizumab and basiliximab) that block the interleukin 2 receptor and are used in prevention of graft rejection as immunosuppresant.